Pontine hemorrhage most common cause is -
1. Hypertension
2. Diabetes
3. Trauma
4. Aneurysmal rupture

Correct answer: 1. Hypertension